During the development of a tooth, sound coalescence of the lobes results in
1. Grooves
2. Fissures
3. Cusps
4. All of the above

Correct answer: 1. Grooves